True about adult autologous stem cell transplant are all except -
1. Used in the treatment of leukemia
2. Stem cells are collected directly from the bone marrow
3. G-CSF is given to expand the number of stem cells
4. It allows high dose of chemotherapy

Correct answer: 2. Stem cells are collected directly from the bone marrow

Explanation: Ans. is 'b' i.e., Stem cells are collected directly from the bone marrowAutologous stem cell transplant An autologous transplant uses the person's own stem cells. These cells are collected in advance and returned at a later stage. They are used to replace stem cells that have been damaged by high doses of chemotherapy, used to treat the person's underlying disease.It is an OPD procedure..In most cases, stem cells are collected directly from the bloodstream.Granulocyte Colony Stimulating Factor (G-CSF) is used to expand the number of stem cells in the marrow and cause them to spill out into the circulating blood.Autologous transplants are used to treat a number of different blood cancers - leukaemias lymphomas and myeloma, and certain solid tumours - breast cancer, testicular cancer, osteosarcoma and others.Autologous transplants allow the use of high dose chemotherapy and sometimes radiotherapy (k/a condition therapy).After the transplant blood counts drop dramatically in the week following your conditioning therapy.Exposing the patient to the risk of infections and bleeding. Antibiotics and other drugs are commonly prescribed to help prevent or treat infections during this time, and platelet transfusions is also given to reduce your risk of bleeding.